A child presents with an expansile swelling on medial side of the nose. Likely diagnosis is:
1. Teratoma
2. Meningcoele
3. Dermoid cyst
4. Lipoma

Correct answer: 2. Meningcoele

Explanation: Meningocoele presents as a cystic swelling which is expansile, transluscent, compressible and shows a positive fluctuation test. One of the common site is root of nose. Ref: Surgical Short Cases By S. Das, 2nd Edition, Pages 88-89.